Appetite is increased by ?
1. a-MHS
2. Leptin
3. Serotonin
4. Neuropeptide Y

Correct answer: 4. Neuropeptide Y

Explanation: Ans. is 'd' i.e., Neuropeptide Y